Staff at PHC include – a)  Pharmacistb)  Clerkc)  Radiologistd)  Laboratory techniciane)  Paediatrician
1. acd
2. bcd
3. abd
4. ab

Correct answer: 3. abd